Which is not a side effect of lamotrigine
1. Diplopia
2. Dizziness
3. Decreased cognition
4. Rash

Correct answer: 3. Decreased cognition

Explanation: (C) Decreased cognition # Side effectsare sleepiness, dizziness, diplopia, ataxia and vomiting.> In some comparative trials lamotrigine has been found to be better tolerated than carbamazepine or phenytoin.> Negative effect on cognitive function is not reported.> Rash may be a severe reaction requiring withdrawal.